True about Frank Breech:a) Thigh extended, leg extendedb) Thigh flexed, knee extendedc) Both are flexedd) Budha's attitudee) Common in primi
1. ab
2. ad
3. be
4. ce

Correct answer: 3. be